A cut injury on wrist causes the inability of thumb to touch the tip of little finger, the nerve likely to be damaged is -
1. Ulnar
2. Radial
3. Median
4. Deep branch of ulnar nerve

Correct answer: 3. Median

Explanation: Patient is unable to do opposition (i.e., inability of thumb to touch the tip of little finger).
Loss of opposition is seen in median nerve injury.